All are endogenous catecholamines except:
1. Epinephrine
2. Norepinephrine
3. Dopamine
4. Dobutamine

Correct answer: 4. Dobutamine

Explanation: Ans. is 'd' i.e. Dobutamine ]Catecholamines are compound containing catechol nucleus and a side chain containing amine group. EndogenousSynthetic* Epinephrine* Isoprenaline* Norepinephrine* Dipivefrin* Dopamine* Dobutamine* Serotonin* Ibopamine* Histamine* Dopexamine * FenoldopamActions of various catecholamine* Adrenaline (Epinephrine)- a1+ a2 + b1+ b2 + weak b3* Noradrenaline (Norepinephrine)- a1 + a2 + b1 + b3 but no b2 action* IsoprenalineB1 + b2 + b3 but no a action* Dopamine- b1 + a + D1 + D2 but no b2* Dobutamine- a + b + no D1 or D2 (considered selective b1)